Bunion is commonly seen at:
1. Great toe MTP joint
2. Medial malleolus
3. Lateral malleolus
4. Shin of tibia

Correct answer: 1. Great toe MTP joint

Explanation: Bunion Painful bony bump that develops on the inside of the foot at the MTP of great toe associated with Hallux Valgus Hallux Calgus is the lageral deviation of the greater toe with prominence of the 1st MTP Pathology: Prominence of the first metatarsal head is due to subluxation of the MTP joint; increasing shoe pressure on the medial side leads to the development of an overlying bursa and thickened soft tissues, additional changes that combine to form the defining 'bunion' that eventually accompanies the great-toe deformity Not a true exostosis